Derivatives of the mesonephric duct are all except
1. Epidydimis
2. Ductus deferens
3. Ureter
4. Appendix of testis

Correct answer: 4. Appendix of testis

Explanation: The nephric duct which is formed in relation to the developing excretory tubules. At later stages, becomes the mesonephric duct(Wolffian duct), The collecting part of the kidney is derived from a diverticulum called the ureteric bud which arises from the lower part of the mesonephric duct, Mesonephric (Wolffian) duct - male derivatives - Appendix of epididymis, Epididymis, Ductus deferens, Ejaculatory ducts, Seminal vesicle, Ureter, pelvis, calyces and collecting tubules. Mesonephric (Wolffian) duct - Female derivatives - Appendix of ovary, Duct of epoophoron. Ref:Inderbir Singh's Human Embryology, Eleventh edition, pg.no., 265, 286. table Ref:Inderbir Singh's Human Embryology, Eleventh edition, pg.no.,286(table - 10.6).